On complete hydrolysis of DNA, we will get all of the following, EXCEPT:
1. Adenosine
2. Purine bases
3. Phosphoric acid
4. Deoxy pentose sugar

Correct answer: 1. Adenosine

Explanation: DNA hydrolysis gives the following products: 5 carbon containing sugar-deoxyribose Two pyrimidine bases (Thymine and cytosine) Two purine bases (Guanine and adenine) Phosphate group Adenosine is a nucleoside and composed of adenine (nitrogen base) plus ribose (pentose sugar). These components would be separated by complete hydrolysis. Hydrolysis is the breaking of bonds by the addition of water. The DNA double helix can be broken by either of two methods, chemical or enzymatic hydrolysis Chemical Hydrolysis: At very low pH (1 or less) phosphodiester bond hydrolysis occurs accompanied by breakage of the N glycosylic bond between the base and the deoxyribose. At very high pH, DNA is resistant to hydrolysis. The resistance of DNA to alkaline hydrolysis is due to unavailability of free sugar hydroxyl group at 2' - position, and also an intermediate 2', 3' cyclic phosphates can not form as they do during hydrolysis of RNA. Enzymatic Hydrolysis: Enzymes which hydrolyze nucleic acids are called Nucleases.If Nuclease hydrolyzes DNA they are termed DNAases Hydrolysis of nucleic acids: yields the basic components which are compounded together to give rise to nucleotides which are linked to each other to form nucleic acid (DNA or RNA). These basic components are: Nitrogen bases - Purines & Pyrimidines Purines - Adenine & Guanine Pyrimidines - Thymine, Cytosine, Uracil Pentose sugar - Ribose (for RNA) & de-oxy Ribose(for DNA) phosphate groups Ref: Nucleic Acids in Chemistry And Biology, edited by G. Michael Blackburn, 3rd Edition, Page 296; Biochemistry, Lippincott, 2nd Edition, Page 376